Repressed information can be brought into conscious mind by all except ?
1. Dream
2. Focused attention
3. Hypnosis
4. Somatic stimulation

Correct answer: 2. Focused attention

Explanation: Ans. is 'b' i.e., Focused attention Preconcious thoughts are readily accessible to conciousness by focused attention, but not unconscious thoughts which contains repressed memory. Freud advanced the 'topographic theory of mind' in the year 1900 in the book 'the interpretation of dreams'. It divides the mind into three divisions :? Unconscious : - A traumatic event which had occured during childhood are "repressed" (forced down) into deeper layer of unconsciouness where they lie dormant without producing any symptoms. Preconscious : - This is the region of mind between the unconscious and the conscious, with access to both. The unconscious mental contents can reach the conscious only through the preconscious. So, It acts as a sensor of conscious to mentain repressive barrier for unconscious mental contents. Conscious : It refers to attention concerned with registration of stimuli from both with and without. Focused attention can bring preconcious thoughts to consciousness. But repressed memory is in unconscious. Methods used to recover repressed thoughts are :- Hypnosis Dream interpretation Automatic writing Somatic stimulation EMDR (eye movement desensitization and reprocessing)